Most common site of brain Hemorrhage is?
1. Putamen
2. Internal capsule
3. Ventral pons
4. Cerebellum

Correct answer: 1. Putamen

Explanation: Ans. (a) PutamenRef: Harrison 19th ed. / 2582* Most common site of brain hemorrhage is Putamen.* Intra-parenychmal hemorrhage is most lethal and has mortality rate of 40%.* The IOC is NCCT. For management BP must be controlled which is to maintain a target BP of 160/90.